Pseudoesotropia is associated with:
1. Hypertelorism
2. Positive angle kappa
3. Negative angle kappa
4. None of the above

Correct answer: 3. Negative angle kappa

Explanation: Ans. Negative angle kappa